Scutum is
1. Bony part of outer attic wall
2. Bony part of inner attic wall
3. Cartilaginous part of outer attic wall
4. Cartilagenous part of inner attic wall

Correct answer: 1. Bony part of outer attic wall

Explanation: The lateral wall of the middle ear is formed largely by the tympanic membrane and to a lesser extent by the bony outer attic wall called the scutum.Refer: PL Dhingra, Diseases of Ear, Nose & Throat, 7th edition, pg no. 6